Alpha fetoprotein is genetically and structurally-
1. Albumin
2. Transferrin
3. Fibrinogen
4. Growth hormone related

Correct answer: 1. Albumin

Explanation: Produced by immature liver cells in fetus. Seen in amniotic fluid and maternal blood stream. Helps to detect congenital disorders. Source-robbins